What accompanies sloughing of the endometrium during the endometrial cycle in a normal woman?
1. An increase in progesterone
2. The LH "surge"
3. A decrease in both progesterone and estrogen
4. An increase in estradiol

Correct answer: 3. A decrease in both progesterone and estrogen

Explanation: At the end of the luteal phase, the corpus luteum is resorbed and fails to produce progesterone and estradiol, making levels fall precipitously and causing the endometrium to slough.